At the end of anaesthesia after discontinuation of nitrous oxide and removal of endotracheal tube, 100% oxygen is administered to the patient to prevent –
1. Diffusion Hypoxia
2. Second gas effect
3. Hyperoxia
4. Bronchospasm

Correct answer: 1. Diffusion Hypoxia

Explanation: Diffusion hypoxia can be prevented by continuing 100% O2 inhalation for a few minutes after discontinuing N2O, instead of straight away switching over to air.